Apex national institute of ophthalmology is
1. Advance eye care PGI Chandigarh
2. RIO
3. Dr. R P Centre for Ophthalmic Sciences , Delhi
4. Shankara Netralaya , Chennai

Correct answer: 3. Dr. R P Centre for Ophthalmic Sciences , Delhi

Explanation: Dr RP Centre for Ophthalmic Sciences, New Delhi has been designated as the apex national institute of ophthalmology.